False regarding ulnar nerve is
1. C7 fibers come from lateral cord
2. C7 8 T1
3. No branch in arm
4. Pass between supinator heads

Correct answer: 4. Pass between supinator heads

Explanation: D i.e. Pass between supinator headsDeep branch of ulnar nerve supplies all interossei (palmar & dorsal), all hypothenar (flexor/ abductor/ opponens digiti ininimi), two (3rd & 4th) luinbricles, adductor pollicis and deep head of flexor pollicis brevis muscleQ.